Dupuytren's contracture mvolves-
1. Dorsal fascia
2. Palmar fascia
3. Ulnar bursa
4. Radial bursa

Correct answer: 2. Palmar fascia

Explanation: Ans. is 'b' i.e., Palmar fascia o Dupuytren's contracture is characterized in the established phase by flexion contracture of one or more fingers from thickening and shortening of palmar aponeurosis.o The exact etiology is unknow; However, the condition is more commonly associated with following conditionsi) Epileptics taking phenytoiniv) Alcoholic cirrhosisii) Diabetesv) AIDSiii) Smokingvi) Pulmonary TB o Often both hands are affected (Bilateral disease), one more than the other,o The earliest sign is a small thickened nodule in the mid-palm opposite the base of ring finger,o Gradually this extends distally to involve the ring or little finger.o There is a rare, curious association with fibrosis of the corpus Cavemosum.